Commonest type of drowning is :
1. Suicidal
2. Accidental
3. Homicidal
4. All of the above

Correct answer: 2. Accidental

Explanation: B i.e. Accidental